Which of the following are orbital tumours :
1. Glioma
2. Lymphoma
3. Chloroma
4. All

Correct answer: 4. All

Explanation: A. i.e. Glioma B. i.e. Lymphoma C. i.e. Chloroma Orbital space occupying lesions (tumors) - > Hodgkins & T- cell lymphoma)Q Mesenchymal Embryonal sarcoma Fibrous histiocytoma (Rhabdomyosarcoma) Metastatic Neuroblastoma From breast > bronchus > Myeloid sarcoma (granulocytic prostate > skin melanoma sarcoma & chloroma)Q > gastrointestinal tract> Langerhans cell granulomatosis kidney Wilms tumor Ewing sarcomaQ. " v:shapes="_x0000_s1026">Capillary haemangioma (a hamartoma) is the most common tumor of orbit & periobital areas in childhoodQ. It is more common in girls & may be a/w high output heart failure, Kasabach Merrit syndrome (i.e. anemia, thrombocytopenia & icoagulation factors) and Maffuci syndrome (i.e. skin lesions & bone enchondromata) - Cavernous hemangioma is the most common benign orbital tumor in adultsQ, with a female preponderance of 70% & mostly occurring with in lateral part of muscle cone. - Pleomorphic adenoma is the most common epithelial tumor of lacrimal gland - Plexiform neurofibroma is the most common peripheral neural tumor of orbit and occurs almost exclusively in a/w NF-1. - Embryonal (rhabdomayo) sarcoma is the most common primary orbital malignancy of childhood Histology shows elongated & strap like cells with a tadpole or tennis racket configuration (rhabdomyoblast) +- cross striations. - Neuroblastoma is one of most common cause of orbital metastasis in childhood - Granulocytic or myeloid sarcoma (also k/a chloroma b/o characteristic green colour) is localized collection of leukemic cells (at any site including skin, CNS and bones especially orbit) seen almost exclusively in patients with AML. Origin Children Adult Congenital Dermoid cyst, Teratoma Vascular Capillary hemangioma Cavernous hemangioma Lymphangioma Haemangiopericytoma Orbital varices Lacrimal gland Pleomorphic (benign mixed cell) adenoma = Lacrimal gland carcinoma (adenoid cystic, pleomorphic adenocarcinoma, mucoepidermoid & squamous cell) Neural (optic GliomaQ (pilocytic astrocytoma) SchwannomaQ nerve) Plexiform neurofibroma MeningiomaQ (from meningothelial cells of arachnoid villi) Isolated Neurofibroma Haemopoetic Acute myeloid leukaemia Histiocytosis Lymphoma (B.cell, Burkit, Non Hodgkins & Mantle cell lymphoma >> Hodgkins & T- cell lymphoma)Q Mesenchymal Embryonal sarcoma Fibrous histiocytoma (Rhabdomyosarcoma) Metastatic Neuroblastoma From breast > bronchus > Myeloid sarcoma (granulocytic prostate > skin melanoma sarcoma & chloroma)Q > gastrointestinal tract> Langerhans cell granulomatosis kidney Wilms tumor Ewing sarcomaQ.